Reciprocal ST depression in leads V1-V3 is seen in
1. Inferior wall MI
2. Anterior wall MI
3. Lateral wall MI
4. Posterior wall MI

Correct answer: 4. Posterior wall MI

Explanation: "Posterior" wall ischemia (usually associated with lateral or inferior involvement) may be indirectly recognized by reciprocal ST depressions in leads V1 to V3 (thus constituting an ST elevation "equivalent" acute coronary syndrome)Inferior wall ischemia produces changes in leads II, III, and aVF.Acute transmural anterior (including apical and lateral) wall ischemia is reflected by ST elevations or increased T-wave positivity in one or more of the precordial leads (V1-V6) and leads I and aV. Right ventricular ischemia usually produces ST elevations in right-sided chest leads Ref: Harrison 19e pg: 1456